Deficiency of Arylsulphatase is seen in
1. Gaucher's disease
2. Metachromatic Leuko Dystrophy (MLD)
3. Tay-Sachs's diseas
4. Niemann-Pick disease

Correct answer: 2. Metachromatic Leuko Dystrophy (MLD)

Explanation: (B) Metachromatic leukodystrophy (MLD) # Metachromatic leukodystrophy (MLD) is a lysosomal storage diseases, which are progressive, inherited, and neurodegenerative disorders (MLD included).> 4 types of MLD occur with varying ages of onset and courses (i.e., 1. Late infantile, 2. Early juvenile, 3. Late juvenile, 4. Adu t).> All forms of MLD involve a progressive deterioration of motor & neurocognitive function.> The typing is somewhat arbitrary, as the types overlap, and some cases do not fall neatly within a single type. MLD actuall / describes a continuum of clinical severity. The presence of white matter abnormalities on brain images is characteristic.> Pathophysiology: In patients, the inability to degrade sulfated glycolipids, especially the galactosyl-3-sulfate ceramides, characterizes MLD. A deficiency in the lysosomal enzyme sulfatide sulfatase (arylsulfatase A) is present in MLD.